Which of the following is not spread by Aedes mosquito-
1. Dengue fever
2. Chickungunya
3. Japanese encephalitis
4. Yellow fever

Correct answer: 3. Japanese encephalitis

Explanation: Ans. is 'c' i.e., Japanese encephalitis Mosquito speciesDisease transmittedAnophelesMalaria, filariasis (not in India), arboviruses of febrile and encephalitic diseaseCulexBaneroftian filariasis, Japanese encephalitis, West- Nile fever, St. Louis encephalitis, western equine encephalitisAedesYellow fever (in Africa), Dengue, Dengue haemorrhagic fever, Chickengunya, Chickengunya haemorrhagic fever, Rift valley fever, Sindbis, Baneroftian filariasis (not in India)MansoniaBrugian filariasis, Baneroftian filariasis, Chickengunya